The following factors contribute to hypothermia in preterm babies except -
1. Decreased subcutaneous fat and brown fat
2. Large surface area in relation to body weight
3. Less oxygen consumption
4. Increased muscular activity

Correct answer: 4. Increased muscular activity

Explanation: Ans. is 'd' i.e., Increased muscular activity